Plumbism is caused by:
1. Lead poisoning
2. Mercury poisoning
3. Thallium poisoning
4. Copper poisoning

Correct answer: 1. Lead poisoning

Explanation: Ans: A (Lead poisoning) Plumbism/Saturnism/Chronic Lead Poisoning: Short Review# Lead poisioning is nearly always of the chronic type.# Although chronic poisoning correctly describes prolonged exposure, manifestations often are acute.The main signs & symptoms are :Facial pallor Q -is one of the earliestQ & most consistent sign.Anaemia with punctuate basophiliaQLead line -Burtonian blue line Q (seen on only near dirty or carious teeth in upper jaw as an early sign Q.lt is due to epithelial deposits of sulphur granules) is seen on gums in 50-70% of cases# Colic & constipation QLead palsy & paralysisEncephalopathy QRenovascular manifestationsReproductive system manifestationsAlso knowSimilar blue lines are also seen in : Hg, Cu , Ag , Bi & Fe poisoning0